The cause of 'postpartum blues' is :
1. Decreased estrogen
2. Decreased progesterone
3. Increased prolactin
4. Decreased estrogen and progesterone

Correct answer: 4. Decreased estrogen and progesterone

Explanation: Ans. is d i.e. Decreased estrogen and progesterone Puerperal blues/ 3 days blues / baby blues. It is transient state of menial illness observed 4-5 days after delivery in nearly 50% of post partum women. Postpartum blues occurs at the height of hormonal changes. Patients present with depression, anxiety, fearfulness, insomnia, helplessness and negative feelings towards infant. It may last from a few days to 2-3 weeks. Generally self limited, 20% of women may develop depression in the first postpartum year. Treatment : Reassurance and psychological support of family members. Post-oaum depression : It is observed in 10 - 20% of mothers. It is more gradual in onset over the first 4 - 6 months following delivery or abortion. Changes in hypothalamo-pituitary-adrenal axis may be a cause. Manifested by loss of energy and appetite, insomnia, social withdrawal, irritability and even suicidal attitude. Risk of recurrence 50 - 100% in subsequent pregnancies. Treatmeni Should be started early. Fluoxetine or paroxetine is effective and has fewer side effects. According to kaplan, the cause of post partum blues is : "inert sudden decrease in estrogen and progesterone immediately after delivery may also contribute to the disorder, but treatment with these hormones are not effective."